An elderly male presents with one episode of gross haematuria. All of the following investigations are recommended for this patient except:
1. Cystoscopy
2. Urine microscopy for malignant cells
3. Urine tumor markers
4. Intravenous Pyelogram

Correct answer: 3. Urine tumor markers